In MCH programme the sampling is done by which method-
1. Systemic
2. Stratified
3. Group
4. Cluster-30

Correct answer: 4. Cluster-30

Explanation: Ans. is 'd' i.e., Cluster-30